Maple syrup urine disease is due to
1. a-ketoacid decarboxylase
2. Transaminase
3. Isomerase
4. Mutase

Correct answer: 1. a-ketoacid decarboxylase

Explanation: Maple syrup urine disease is also known as Branched chain ketonuria. The basic biochemical deformity is deficient decarboxylation of branched-chain keto acid. This is due to the deficiency of alpha-ketoacid decarboxylase.Ref: DM Vasudevan - Textbook of Biochemistry, 7th edition, page no: 230